Crown completion of deciduous Maxillary central incisors occur
1. At birth
2. 1 ½ month after birth
3. 2 ½ months after birth
4. 6 months after birth

Correct answer: 2. 1 ½ month after birth